All the following are risk factors for atherosclerosis except
1. Increased waist-hip ratio
2. Hyperhomocysteinemia
3. Decreased fibrinogen
4. Decreased HDL levels

Correct answer: 3. Decreased fibrinogen

Explanation: Ref Harrison 19 th ed pg 1579 The major risk factors for atherosclerosis (high levels of plasma low-density lipoprotein , low plasma high-density lipoprotein , cigarette smoking, hypertension, and diabetes mellitus ) disturb the normal functions of the vascular endothelium. These functions include local control of vascular tone, maintenance of an antithrombotic surface, and control of inflamma- tory cell adhesion and diapedesis. The loss of these defenses leads to inappropriate constriction, luminal thrombus formation, and abnormal interactions between blood cells, especially monocytes and platelets, and the activated vascular endothelium